In autism spectrum disorder, which of the following is identified as the first biomarker ?
1. Decreased brain volume in children less than 4 years
2. Reduced latency of sleep
3. Increased level of serotonin in the platelets
4. Increased levels of dopamine

Correct answer: 3. Increased level of serotonin in the platelets

Explanation: In autism spectrum disorder, | level of serotonin in the platelets is identified as the first biomarker. Other biomarkers are mTOR pathway Increased total brain volume in children < 4 years of age g-aminobutyric acid (GABA) inhibitory system